Structure passing through superior orbital fissure?
1. Oculomotor nerve
2. Trochlear nerve
3. Superior ophthalmic vein
4. All of the above

Correct answer: 4. All of the above

Explanation: Ans. is 'd' i.e., All of the above Structures passing through superior orbital fissure are :-Middle part (within the ring) Upper and lower division of oculomotor nerve, nasociliary nerve, abducent nerve.Lateral part (above the ring) :- Trochlear nerve, frontal nerve and lacrimal nerve, superior ophthalmic vein, recurrent menigeal branch of lacrimal artery, orbital branch of middle meningeal artery and sometimes meningeal branch of ophthalmic artery. Medial part (below the ring) :- Inferior ophthalmic vein, sympathetic nerves around ICA.